Grossly disorganised, severe personality deterioration is seen is -
1. Hebephrenic
2. Catatonic
3. Simple
4. Paranoid

Correct answer: 1. Hebephrenic

Explanation: Disorganized thought, behavior, speech, affect and personality are seen in hebephrenic (disorganized) schizophrenia.